Most common cause of craniosynostosis is?
1. Plagiocephaly
2. Brachycephaly
3. Scaphocephaly
4. Trigonocephaly

Correct answer: 3. Scaphocephaly

Explanation: Craniosynostosis refers to the premature fusion of cranial sutures resulting in abnormal head shapes since the brain cannot grow normally. Dolichocephaly/ scaphocephaly- it is premature fusion of the sagittal suture resulting in increased anteroposterior diameter (mc type) Brachycephaly- is premature fusion of the coronal suture, resulting in square type of brain Trigonocephaly - is premature fusion of the metopic suture, resulting in triangular type of brain Turricephaly/ oxycephaly- is premature fusion of sphenofrontal/ sphenoethmoidal suture, Plagiocephaly: it is not a type of craniosynostosis but Asymmetric head shape due to any pathology.